Which of the following has maximum density -
1. VLDL.
2. LDL
3. HDL
4. Chylomicrons

Correct answer: 3. HDL

Explanation: Ans. is 'c- i.e., HDL ChylomicronVLDLLDLHDL1. Particle mass (kD)400,00010000-80,0002300175-3602. Density (g/.cm1)<0.950.95-1.0061.018-1.0631.063-1.213. Diameter (A)1000-10,000300-700150-25075-1004. ApolipoproteinsA, B, C, EB.C.EBA, C, D.E5. Components (% dry weight)ApolipoproteinsTriacylglvcerolsCholesterolPhospholipids1.5-234-87-95-10 50-6515-2315-2020-257-1040-5015-2040-553-515-1820-35